Bleuler's Critaria for Schzophrenia includes all except ?
1. Ambivalence
2. Loosening of association
3. Automatism
4. Inappropriate Affect

Correct answer: 3. Automatism

Explanation: C i.e. Automatism